Most commonly injured ligaments of Ankle is
1. Anterior Talofibular
2. Middle Calcaneofibular
3. Deltoid
4. Posterior Talofibular

Correct answer: 1. Anterior Talofibular